Which of the following is not an anti histaminic drug of the ethanolamine group?
1. Clemastine
2. Diphenhydramine
3. Dimenhydrinate
4. Chlorpheniramine

Correct answer: 4. Chlorpheniramine

Explanation: Ans. is d i.e., Chlorpheniramine Ethanolamine derivative group of antihistaminics are: Carbinoxamine maleate Clemastinefumarate Diphenhydrmine HC1 Dimenhydrinate